Bones ossified at birth -a) Lower end of femurb) Calcaneumc) Upper end of tibiad) Upper end of humeruse) Lower end of humerus
1. a
2. abc
3. ad
4. b

Correct answer: 2. abc

Explanation: Primary center of ossification for diaphysis of major long bones appear prenatally, i.e. diaphysis of all long bones are ossified at birth. Secondary centers of ossification for ends (epiphysis) of long bones appear after birth except for secondary centers around knee (distal femur) and proximal tibia appear during last weaks of fetal life or immediately after birth.
Beside diaphysis of long bones, other ossification centers which appear prenatally (ossified at birth) are skull, talus, calcaneum, cuboid, phalanges, girdle bones, vertebral column, ribs and sternum.
Primary center of all tarsal bones (except talus, calcaneum and cuboid), and carpal bones appear after birth.